Which of the following responses is least affected by Anaesthesia –
1. Brainstem Auditory Evoked Response (BAER)
2. Visual Evoked Response (VER)
3. Somatosensory Evoked potential (SSEP)
4. Electroencephalogram (EEG)

Correct answer: 1. Brainstem Auditory Evoked Response (BAER)